Which of the following drugs increases gastro–intestinal motility ?
1. Glycopyrrolate
2. Atropine
3. Neostigmine
4. Fentanyl

Correct answer: 3. Neostigmine